A child's growth variation is normal but bone development is not acc to the chronological age.What is diagnosis ?
1. Genetic
2. Dwarfism
3. Constitutional delay
4. Familial short stature

Correct answer: 3. Constitutional delay

Explanation: The child in this question has :


Height below 3rd percentile, i.e., short stature.
Normal growth velocity, i.e., a normal variant of short stature.
Skeletal age is less than chronological age.


There are two types of a normal variant of short stature.


Constitutional delay in growth
Familial genetic short stature


In constitutional delay, the bone age is less than chronological age, while in familial short stature bone age is normal for the chronological age.
So, the most likely diagnosis of this child is a constitutional delay in growth.